Which is the single most important factor that stimulates insulin secretion?
1. Decreased plasma glucose concentration inhibits insulin release
2. Decreased plasma glucose concentration stimulate insulin release
3. Increased plasma glucose concentration stimulates insulin release
4. Increased plasma glucose concentration inhibits insulin release

Correct answer: 3. Increased plasma glucose concentration stimulates insulin release

Explanation: Increase glucose levels (E.g.: after meals) | Glucose entry into pancreatic cells. | Glucose undergoes glycolysis & generate ATP. | ATP - sensitive K+ channels inhibited, causing depolarization of the cell membrane. | Voltage gated Ca++ channels open. Influx of Ca++ into the cell. | Fusion of insulin containing vesicles with cell membrane. | Insulin released by exocytosis. Factors and Conditions that increase or Decrease Insulin Secretion Increase Insulin Secretion Decrease Insulin Secretion Increased blood glucose Decreased blood glucose Increased blood free fatty acids Fasting Somatostatin Increased blood amino acids a- Adrenergic activity Gastrointestinal hormones (gastrin, cholecytokinin, secretin, gastric inhibitory peptide) Leptin Glucagon, growth hormone, cortisol Parasympathetic stimulation; acetylcholine b- Adrenergic stimulation Insulin resistance; obesity Sulfonylurea drugs (glyburide, tolbutamide)